Respiratory quotient of carbohydrate is:
1. 0.5
2. 0.8
3. 0.75
4. 1

Correct answer: 4. 1

Explanation: ref : Park 24 edition The respiratory quotient (or RQ or respiratory coefficient), is a dimensionless number used in calculations of basal metabolic rate (BMR) when estimated from carbon dioxide production. It is calculated from the ratio of carbon dioxide produced by the body to oxygen consumed by the body. Such measurements, like measurements of oxygen uptake, are forms of indirect calorimetry. It is measured using a respirometer. The respiratory quotient (RQ) is the ratio